Styloid process is derived from ?
1. 1st arch
2. 2nd arch
3. 3rd arch
4. 4th arch

Correct answer: 2. 2nd arch

Explanation: Styloid process is derived from 2nd pharyngeal arch.